The height of a child is double the birth height at the age of-
1. 1 year
2. 2 years
3. 3 years
4. 4 years

Correct answer: 4. 4 years

Explanation: Ans. is 'd' i.e., 4 years o An infant usually doubles his birth height by the age of 41/2 years Age Birth 3 months 9 months 1 year 2 years 41/2 years Height 50 cm 60 cm 70 cm 75 cm 90 cm 100 cm